Very low birth weight is less than:-
1. <1000g
2. <1500g
3. <2000g
4. <2500g

Correct answer: 2. <1500g

Explanation: Low birth weight (LBW)= Birth weight <2500g Very low birth weight (VLBW)= BW <1500g Extremely low birth weight (ELBW)= BW<1000g